Depolarisation of atria on ECG is seen as
1. P-wave
2. QRS complex
3. T-wave
4. ST segment

Correct answer: 1. P-wave

Explanation: P wave shows atrial depolarizationQRS complex shows ventricular depolarization T wave shows ventricular repolarizationST segment represents the duration from the end of ventricular depolarization to the beginning of ventricular repolarizationRef: Textbook of medical physiology by N Geetha,2nd edition, page no. 136